Ability to feel mechanical vibrations is termed as
1. Pallesthesia
2. Causalgia
3. Allodynia
4. Paresthesia

Correct answer: 1. Pallesthesia

Explanation: Pallesthesia is the ability to feel mechanical vibrations